How long can blood be stored with CPD-A -
1. 21 days
2. 28 days
3. 35 days
4. 42 days

Correct answer: 3. 35 days

Explanation: blood can be stored only 21 days with CPD Where as when adenine is added to CPD , it can be stored for 35 days citrate phosphate dextrose adenine (CPDA-1) an anticoagulant solution, containing citric acid, sodium citrate, monobasic sodium phosphate, dextrose, and adenine, used for the preservation of whole blood and red blood cells for up to 35 days; it extends red cell survival by providing adenine needed for the maintenance Refer robbins 9/e pg 450